Which of the toxins causes epidemic dropsy?
1. BOAA
2. Sanguinarine
3. Pyrazolidine
4. None

Correct answer: 2. Sanguinarine

Explanation: Ans. b (Sanguinarine). (Ref. Park, PSM, 17th ed., 658) Caused byFeaturesComments and interventionEpidemic dropsyA toxic alkaloid sanguinarine from argemone oil.- This toxic substance interferes with the oxidation of pyruvic acid which accumulates in the blood. On set of sudden, non- inflammatory, bilateral swelling of legs, diarrhoea.- Dyspnoea, cardiac failure and death may follow glaucoma.Tests for detection of argemone oil:- Nitric acid test.- Paper chromatogram phy--most sensitive test.Endemic FluorosisDrinking water contains excessive amounts of fluorine (3-5mg/L).Certain parts of the country, e.g., Andhra Pradesh, Punjab, Haryana, Karnataka, Kerala and TN.- Dental fluorosis: Ingested during the years of tooth calcification essentially during the first 7 years of life by "mottling of dental enamel", which has been reported at levels above 1.5 mg/L intake. Mottling is best seen on the incisors of the upper jaw.- Skeletal fluorosis/Genu val gum: Lifetime daily intake of 3.0--6.0 mg/L or more.- Changing the water source: Nalgonda technique for defluoridation of water.LathyrismOccurs in adults consuming the pulse, Lathyrus sativus ("Khesari Dhal").Toxin present in lathyrus is beta oxalyl amino alanine (BOAA).Neurolathyrism is a crippling disease of the nervous system characterised by gradually developing spastic paralysis of lower limbs, and manifests itself in stages.- Latent stage- No-stick stage- One-stick stage- Two stick stage- Crawler stage.Vitamin-C prophylaxisBanning the cropRemoval of toxin- Steeping method- Parboiling- Education- Genetic approach- Socio-economic changesENDEMIC ASCITES:Pyrazolidone alkaloid in diet junjuhane seeds.Ascites-